Initial fluid of choice in treatment of hypovolemia in trauma patient
1. Colloid
2. Crystalloid
3. Blood
4. Plasma expanders

Correct answer: 2. Crystalloid

Explanation: The initial fluid of choice is crystalloid of which normal Saline > Ringer lactate is used.